Glucocorticoids lead to an increase in blood levels of which of the following?
1. a) Neutrophils
2. b) Eosinophils
3. c) Basophils
4. d) Lymphocytes

Correct answer: 1. a) Neutrophils

Explanation: Effects of glucocorticoids: